Emperioplosis is seen in which of the following conditions?
1. Alcoholic hepatitis
2. Acute hepatitis
3. Chronic hepitis
4. Autoimmune hepatitis

Correct answer: 4. Autoimmune hepatitis

Explanation: Condition Explanation Image Autoimmune hepatitis Emperipolesis Penetration of one cell, into a bigger cell. Rosai Dorfman disease Penetration of lymphocytes into megakaryocyte. Penetration of lymphocytes or plasma cells into a hepatic cell. Interphase hepatitis Hepatic rosette formation Alcoholic hepatitis Hepatocyte swelling & necrosis Mallory-denk bodies Neutrophilic reaction Acute Hepatitis Chronic Hepatitis Portal inflammation is minimal or absent Portal inflammation is dense & prominent Parenchymal injury is scattered throughout Spotty necrosis Lobular hepatitis Lobular hepatitis, Interface hepatitis is seen Bridging necrosis is seen only in severe acute hepatitis Bridging necrosis & fibrosis is seen